Bilateral proptosis in children is the most common presentation of:
1. Neurofibromatosis
2. Leukemia
3. Cavernous hemangioma
4. Malignant fibrous Histiocytoma

Correct answer: 2. Leukemia

Explanation: Ans. b. Leukemi Leukemic infiltration into the orbit (chloroma) is the most common cause of bilateral proptosis in children amongst the option provided. The most common cause of bilateral proptosis in children is not definitively established, but metastatic neuroblastoma and/or leukemia (chloroma) should be considered 'The Massachussets Eye and ear Infirmary review manual for Ophthalmology' 3/e p159, 186 Causes of Bilateral Proptosis LymphomasQ LeukemiaQ Secondaries from: NeuroblastomaQ NephroblastomaQ Ewing's sarcomaQ MC cause of unilateral proptosis in children Orbital cellulitis MC cause of (non-inflammatory) unilateralproptosis in children Dermoid cystdeg MC cause of bilateral proptosis in children Not definitively established . Metastatic neuroblastomadeg and/or leukemiadeg (chloroma) MC cause of unilateral proptosis in adults Thyroid ophthalmopathydeg MC cause of bilateral proptosis in adults Thyroid ophthalmopathy Bailey and Johnson Head and Neck Surgery 4/1513 MC benign orbital tumor in adults Cavernous Hemangioma MC malignant orbital tumor in adults Lymphomadeg MC benign orbital tumor in children Dermoid cystdeg MC malignant orbital tumor in children Rhabdomyosarcomaa